Lesions of lateral cerebellum causes all of the following, EXCEPT:
1. Incoordination
2. Intention tremor
3. Resting tremor
4. Ataxia

Correct answer: 3. Resting tremor